Progressive loss of hearing, tinnitus and ataxia are commonly seen in a case of -
1. Otitis media
2. Cerebral glioma
3. Acoustic neuroma
4. Ependymoma

Correct answer: 3. Acoustic neuroma